All can lead to development of overt anemia in patients with long standing compensated hemolytic anemia, EXCEPT:
1. Pregnancy
2. Renal failure
3. Folate deficiency
4. Hypothyroidism

Correct answer: 4. Hypothyroidism

Explanation: A patient with a hemolytic condition may present without anemia (Compensated hemolytic anemia) It becomes decompensated in Pregnancy Folate deficiency Renal failure (Interfering with adequate EPO production) Also in Acute infections- which depresses erythropoiesis. The most dramatic example is parvovirus B19 infection, which may lead to aplastic crisis. Ref: Harrison, E-18, P-873.